Which of the following enzymes does not contain Cu2+
1. Ceruloplasmin
2. Cytochrome Oxidase
3. Xanthine oxidase
4. Dopamine b-hydroxylase

Correct answer: 3. Xanthine oxidase

Explanation: Dopamine b-hydroxylase is a copper-containing enzyme involved in the synthesis of the catecholamines (norepinephrine and epinephrine), from tyrosine in the adrenal medulla and central nervous system.Ceruloplasmin, a copper-containing plasma protein synthesized by the liver, is a ferroxidase required for the oxidation of Fe2+ to Fe3+. Fe3+ is then bound to transferrin in blood.Cytochrome oxidase is a hemoprotein widely distributed in many tissues, having the typical heme prosthetic group present in myoglobin, hemoglobin, and other cytochromes. It contains two molecules of heme, each having one Fe atom that oscillates between Fe3+ and Fe2+ during oxidation and reduction. Furthermore, two atoms of Cu are present, each associated with a heme unit.Hephaestin, a copper-containing ferroxidase homologous to ceruloplasmin, oxidizes Fe2+ to Fe3+ prior to export. Iron is transported in plasma in the Fe3+ form by the transport protein, transferrin.Certain lysyl residues are modified by lysyl oxidase, a copper-containing protein that converts e-amino groups to aldehydes.Xanthine oxidase, which contains molybdenum and plays an important role in the conversion of purine bases to uric acid, and is of particular significancein uricotelic animals.Ref: Harper's Biochemistry; 30th edition